Vitamin deficiency disease seen in maize eating population?
1. Beriberi
2. Megaloblastic anaemia
3. Pellagra
4. Night blindness

Correct answer: 3. Pellagra

Explanation: Ans. c (Pellagra). (Ref to Q.10 of MH 2001)Animal foods, such as milk, eggs, and meat, have high biologic value as most of the needed amino acids are present in adequate amounts. Plant proteins corn/maize (maize is deficient inlysine and tryptophan), soya (soya is deficient methionine), and wheat (wheat is deficient in lysine and threonine) have lower biologic values and must be combinedwith other plant or animal proteins to achieve optimal use by the body.Also remember:# Cereal and pulse proteins complement each other and provide a more balanced and "complete" protein.Q# Germinating pulses contain higher cone of vitamins (vitamin C and B); pulses are called "poor man's meat".# Vegetables: "protective foods", high vitamin and mineral content, leaf proteins (2 to 4%) are good sources of lysine. Leafy vegetables are high in water content and dietary fibre. Low caloric value. The recommended daily intake of green leafy vegetables 40 g for an adult.# Egg- It is a standard protein against which quality of other proteins is compared (reference protein).6- An egg weighing 60 g contains 6 g of protein, 6 g of fat, 30 mg of calcium and 1.5 mg of iron and supplies about 70 kcal of energy. Cholesterol content of egg is 250 mg/egg.- Except for vitamin C and carbohydrates, egg contains all the nutrients. It has all 9 essential aminoacids.- Biotin deficiency is caused by antibiotic overuse and eating raw eggs (avidin in egg-white avidly binds biotin).- NPU which combines in the biological value and digestibility, is 100 for egg, 80 for meat and 75 for milk.# Milk: Milk is a good source of all vitamins except vitamin C.FOOD MATERIALRICH INDEFICIENT INCEREALS MaizeFat, excess leucine (Pellagra)Lysine and tryptophan.RiceLysine and Vitamin BVitamins A, D and C, Ca++, IronWheatProtein, Vitamin BLysine and threonineMilled rice (Polished rice)-Thiamine, riboflavin, niacin, proteinsMILLETS JowarExcess Leucine (Pellagra)Lysine and threonine,RagiCalc<<um-BajaraCalcium, iron, vitamin BLysine and threoninePULSES (LEGUMES) Pulses20-25% of proteins, Lysine, Methionine and cystein.Mineral, vitamin BSoya bean:40% of protein, 20% of fat, and 4% of minerals.Methionine